All of the following are features of Borderline tumors except:
1. Occurs in younger age
2. Mitotic figures <9/10 per high power filed
3. Very good prognosis
4. Stromal invasion seen

Correct answer: 4. Stromal invasion seen

Explanation: Ans. is d, i.e. Stromal invasionRef: Shaw gynae 15th/ed, p373-374Malignant tumor has 2 characteristics different from borderline tumors:(i) Stromal invasion present (it is absent in borderline tumor).(ii) Mitosis >=4/10 per high power field, (in borderline <4/10 per high power)